Most common CNS neoplasma in HIV patient 2
1. Medulloblastoma
2. Ependymoma
3. Astrocytoma
4. Primary CNS lymphoma

Correct answer: 4. Primary CNS lymphoma

Explanation: Primary CNS lymphoma occurs very frequently in patients suffering AIDS and others immuno deficiency states.